Epiphyseal enlargement is seen in
1. Rickets
2. Scurvy
3. Spondo-epiphyseal dysgenesis
4. Juvenile Rheumatoid Arthritis

Correct answer: 4. Juvenile Rheumatoid Arthritis

Explanation: D i.e. Juvenile Rheumatoid